True about High roughage in the diet is
1. Decreases stool transit time
2. Increase stool transit time
3. Normalise stool transit
4. No effect on stool transit time

Correct answer: 1. Decreases stool transit time

Explanation: Soluble and insoluble fibers are included in the diet. They reduce the intestinal transit time and increase the bulk of stool. They are seen to be beneficial in DM, colon cancer, diverticulitis, constipation, haemorrhoids, IBS etc.